A patient has 2 months POP cast for tibial fracture of the left leg. Now he needs mobilisation with a single crutch. You will use this crutch on which side -
1. Left side
2. Right side
3. Any side
4. Both side

Correct answer: 2. Right side

Explanation: Use of crutch in the opposite side, while the affected (left) left leg is bearing weight, will relieve pressure from the healing fracture site.
When the unaffected (Rt. Leg) is raised to step, the crutch on rt. side and the left leg(injured leg) will support the trunk.
For hip pathology, the crutch is given on the same side.